Felbamate is used in ?
1. Epilepsy
2. Anxiety
3. Social phobia
4. Depression

Correct answer: 1. Epilepsy

Explanation: Ans. is 'a' i.e., Epilepsy Felbamate It blocks NMDA receptor and also potentiates GABAA receptor responce. It is used in partial seizures and seizures that occur in Lennox - Gastaut syndrome. Aplastic anemia and severe hepatitis can occur.